List the following pediatric parotid neoplasms in order from most frequent to least frequent
1. Pleomorphic adenoma > acinic cell > mucoepidermoid > adenoid cystic
2. Pleomorphic adenoma > mucoepidermoid > acinic cell > adenoid cystic
3. Pleomorphic adenoma > adenoid cystic > mucoepidermoid > acinic cell
4. Mucoepidermoid > pleomorphic adenoma > acinic cell > adenoid cystic

Correct answer: 2. Pleomorphic adenoma > mucoepidermoid > acinic cell > adenoid cystic

Explanation: Parotid tumours incidence: Common parotid tumors Histopadiology Incidence Pleomorphic adenoma 59% Mucoepidermoid carcinoma 7.9% Warthin's tumor 7.3% Carcinoma Ex-Pleomorphic adenoma 4.4% Acinic cell carcinoma 3.5% Adenoid cystic carcinoma 3.1% Squamous cell carcinoma 2.0%